Which of the following disorders is NOT aggravated by corticosteroid therapy?
1. Congenital adrenal hyperplasia
2. Diabetes mellitus
3. Hypertension
4. Peptic ulcer

Correct answer: 1. Congenital adrenal hyperplasia

Explanation: (Ref: KDT 6/e p283) Corticosteroids are used for the management of congenital adrenal hyperplasia. Corticosteroids can result in hyperglycemia and thus may vitigate the control of blood glucose in diabetics. Due to retention of Na+ and water, corticosteroids can worsen the hypertension. By inhibiting the production of gastroprotective prostaglandins, corticosteroids increase the risk of peptic ulcer disease.